Which of the following drugs has no cycloplegic action?
1. Atropine
2. Cyclopentolate
3. Tropicamide
4. Phenylepherine

Correct answer: 4. Phenylepherine

Explanation: Ans. d (Phenylephrine). (Ref. KD Tripathi, Pharmacology, 4th ed., 88, Basak, Ophthalmology, 2nd ed., 44)# Sympathomimetic mydriatics like atropine (strongest cycloplegic), homatropine, cyclopentolate, tropicamide have cycloplegic action.# Pure a-adrenergic agent - PHENYLEPHRINE (Sympathomimetics) is not cycloplegic.# PILOCARPINE is a local parasympathomimetic ocular hypotensive drug whose mitotic effect is useful in the management of angle closure glaucoma.# It is not a cycloplegic drug.Note: a -adrenergic agents such as phenylephrine or oxymetazoline are generally used topically to alleviate nasal congestion and obstruction.